Longest acting statin is
1. Simvastatin
2. Pravastatin
3. Rosuvastatin
4. Lovastatin

Correct answer: 3. Rosuvastatin

Explanation: Among statins, shortest acting is simvastatin and longest acting is rosuvastatinRef: KD Tripathi 7thed.Pg: 637